Which of the following deficiency does not cause dilated cardiomyopathy ?
1. Calcium
2. Selenium
3. Manganese
4. Carnitine

Correct answer: 3. Manganese

Explanation: Ans. is 'c' i.e., Manganese